Drugs used in acute myocardial infarction are all EXCEPT:
1. Plasminogen activation inhibitors
2. Thrombolytics
3. Antiplatelet drugs
4. Alteplase

Correct answer: 1. Plasminogen activation inhibitors

Explanation: Tissue plasminogen activators are used in acute MI (not the inhibitors) Thrombolytic agents like streptokinase, urokinase, alteplase and reteplase are used to lyse the thrombus. Antiplatelet drugs like aspirin are started to prevent the re-infarction. Thrombolytics reduces mortality in the treatment of MI if the patient arrives within 12 hours